All of the following organisms can cause serious infection in chronic granulomatous disease except?
1. Streptococcus pneumoniae
2. Staphylococcus aureus
3. Pseudomonas
4. H. influenzae

Correct answer: 1. Streptococcus pneumoniae

Explanation: Ans. is 'a' i.e., Streptococcus pneumoniae * There is recurrent infections by catalase positive bacteria but catalase negative pathogens (streptococci and pneumococci) are handled normally.Catalase positive bacteria* Staphylococci* N. meningitidis* Pseudomonas* Coliforms* H. Pylori* H. influenzae* Atypical Mycobacteria* Nocardia* Yersinia & Pasteurella* L. monocytogenes* Legionella* Brucella* Shigella (except dysentriae-1)